Hyperacusis is caused by damage to?
1. Stapedius
2. T. Palate
3. T.Tympani
4. All

Correct answer: 1. Stapedius

Explanation: Ans. a (Stapedius). (Ref. Diseases of ENT by PL Dhingra, 2nd/pg.42)# Hyperacusis is hearing normal voice as louder.# Damage to stapedius is the common cause.# Hyperacusis willis is a feature of otosclerosis.